which of the following is charecterstic of type D disorder
1. odd and excentric
2. self pessimism
3. reward dependent
4. acheivemnt oriented

Correct answer: 2. self pessimism

Explanation: there are two types of personality disorders TYPE A PERONALITY PEOPLE are called' BORN WARRIORS' who are workaholics end up having heart disease TYPE D PERSONALITY PEOPLE are called 'BORN WORRIERS' who ruminate and have high risk of heart disease Ref. kaplon and Sadock synopsis of psychiatry, 11 th edition, pg no.746